Infant mortality does not include -
1. Early neonatal mortality
2. Perinatal mortality
3. Post neonatal mortality
4. Late neonatal mortality

Correct answer: 2. Perinatal mortality

Explanation: Perinatal is From 28 week of gestation to one week after birth. REF. PARK'S TEXTBOOK OF PREVENTIVE AND SOCIAL MEDICAL 21ST EDITION. PAGE NO - 518